Megaloblastic anaemia is caused by
1. Diphyllobothrium Latum
2. H. Nana
3. Echinococcus Granulosus
4. T. Solium

Correct answer: 1. Diphyllobothrium Latum

Explanation: Adult worm absorbs Vit B12.